Infundibulum develops from ?
1. Floor of lateral ventricle
2. Floor of 4th ventricle
3. Floor of third ventricle
4. Rhombencephalon

Correct answer: 3. Floor of third ventricle

Explanation: Ans. is 'c' i.e., Floor of third ventricle(Ref: Textbook of Neuroanatomy p. 112)The infundibulum of the diencephalon is a downward evagination of the floor of the third ventricle.As the infundibulum grows down, it meets an ectodermal diverticulum of the oral cavity, known as Rathke's pouch.